Spiral valve of Heister is seen in
1. Neck of gall bladder
2. Cystic duct
3. Colon
4. Pylorus

Correct answer: 2. Cystic duct

Explanation: Spiral valves of Heister are undulating folds or valves in the proximal mucosa of the cystic duct. The cystic duct attaches the gallbladder to the common bile duct. The spiral valves of Heister are supported by underlying smooth muscle fibers. ref -eahslab.com